All of the following virus contain double-stranded DNA, Except
1. Parvovirus
2. Papilloma virus
3. Herpes virus
4. Pox virus

Correct answer: 1. Parvovirus

Explanation: ParvoviridaeParvoviruses (from Latin parvus meaning small) are very small viruses with a particle size of about 18-26 nm. The particles have cubic symmetry, with 32 capsomeres, but they have no envelope. The genome is linear, single-stranded DNA, averaging 5 kb in size. Replication occurs only in activelydividing cells; capsid assembly takes place in the nucleus of the infected cell. Human parvovirus B19 replicates in immature erythroid cells and causes several adverse consequences, including aplastic crisis, fifth disease, and fetal death.Ref: Jawetz Medical Microbiology; 27th edition; Chapter 29; General Properties of Viruses; Page no: 401